Life threatening complications of diabetes mellitus are all except :
1. >Malignant otitis externa
2. >Rhinocerebral mucormycosis
3. >Emphysematous pyelonephritis
4. >Emphysematous appendicitis

Correct answer: 4. >Emphysematous appendicitis

Explanation: emphysematous appendicitis Malignant otitis externa (Harrison 16th/e p 189) "Invasive otitis externa also known as malignant or necrotizing otitis externa is an aggressive and potentially Ilk threatening disease that occurs predominantly in elderly diabetics and other inummocompromised patients" Rhinocerebral mucormycosis (Harrison p 186) "It is an invasive sinusitis caused by fungi of the order nurcorales which includes Rhizopus, Rhizomucor, Mucor, abcidia and cunnighamella. It represents invasive life threatening infections and usually occur in diabetic patient with ketoacidosis but also develop in transplant recipients, patients with hematologic malignancies and patients receiving chronic Glucocorticoid or de.sferoxamine therapy". Emphysematous pyelonephritis (Harrison p 1720) This unusual clinical entity almost always occurs in diabetic patient often in concert with urinary obstruction and chronic infection. Emphysematous pyelonephritis is usually characterized by rapidly progressive clinical course with high fever, leucocytosis, renal parenchymal necrosis and accunzulation of fermentive gases in the kidney and perinephric tissue. Most patients also have pyuria and glucosuria. E. coli causes most of the cases. Surgical resection (?f the involved tissue in addition to systemic antimicrobial therapy is needed to prevent fatal outcome in emphysematous pyelonephritis ".